Painless ulcer along with painless lymphadenopathy is characteristic of which STD -
1. Syphilis
2. Chancroid
3. LGV
4. Donovanosis

Correct answer: 1. Syphilis

Explanation: Ans. is 'a' i.e., Syphilis GENITALSORESFeaturesSyphilis (Hard chancre)Chancroid (Soft Chancre)Lympho Granuloma VenereumGranuloma Inguinale (Donovanosis)Hepes InfectionOrganismT.pallidumHaemophilus DucreyiChlamydia trachomatisCalymmato -bacterium GranulomatisHSVIncubation Periodo 9-90 dayso Average 21 days1-14 days3 days-6 weeks1 -4 weeks2-7 daysClinical featureso Painless indurated papule that may later on turn to ulcero Painful non indurated ulcer (soft chancre)o Painless Papule that often go unnoticed. Sometimes it may ulcerateo Begins as one or more subcuta -nous nodules that erode through skin to produce clean, granulomatous sharply defined painless lesionso Painful papule that ulcerate in 3-6 dayso Systemic symptoms fever, Headache malaiseo Inguinal Lymphadeno pathy occurs commonly.o Painless shotty lymph adenopathyo Painful lymphad- enopathyo After the genital lesion has healed painful matted suppurative lymphadenopathyo No lymphadenopathyo Multiple sinus tracts are formed in lymph nodeso Groove's Sign - Enlarged nodes are present below and above the inguinal ligamento Vaginal and rectal strictureso Elephantiasis of valveo Pseudobubos are seenDiagnosis Ito testFrei's intradermal testDonovan bodies